Oximes are contraindicated in which poisoning:
1. Malathion
2. Diazinon
3. Phorate
4. Carbamate

Correct answer: 4. Carbamate

Explanation: Ans. Carbamate